NK cells express
1. CD 15;CD55
2. CD 16; CD 56
3. CD16;CD 57
4. CD21;CD66

Correct answer: 2. CD 16; CD 56

Explanation: Ref Robbins 8/e p188 ;9/e p192 NK cells (belonging to the group of innate lymphoid cells) are defined as large granular lymphocytes (LGL) and constitute the third kind of cells differentiated from the common lymphoid progenitor-generating B and T lymphocytes. NK cells are known to differentiate and mature in the bone marrow, lymph nodes, spleen, tonsils, and thymus, where they then enter into the circulation. NK cells differ from natural killer T cells (NKTs) phenotypically, by origin and by respective effector functions; often, NKT cell activity promotes NK cell activity by secreting interferon gamma. In contrast to NKT cells, NK cells do not express T-cell antigen receptors(TCR) or pan T marker CD3 or surface